The National Population Policy 2001 aims to achieve net reproduction rate of 1 by the year -
1. 2005
2. 2010
3. 2015
4. 2050

Correct answer: 2. 2010